Which type of injury causes more damage to the semi-lunar cartilage in the Knee
1. Flexion and extension at the ankle
2. Rotation on a flexed knee
3. Rotation on an extended knee
4. Squatting position

Correct answer: 2. Rotation on a flexed knee

Explanation: B i.e. Rotation on flexed knee